Features of hereditary spherocytosis include all of the following except -
1. ↑ Osmotic fragility
2. ↑MCHC
3. ↑ MCV
4. Decrease surface area per unit volume

Correct answer: 3. ↑ MCV